Ceruminous glands present in the ear are:
1. Modified eccrine glands
2. Modified apocrine glands
3. Modified endocrine glands
4. Modified holocrine glands

Correct answer: 2. Modified apocrine glands

Explanation: (b) Modified apocrine glands(Ref Shambaugh, 6th ed., page 30)Ceruminous glands are modified sudoriferous glands (sweat glands) located subcutaneously in the external auditory canal. They are apocrine glands, i.e. while discharging the secretions their cell's apical parts are shed off.Eccrine or merocrine glands secretions are thrown out of the cells by a process of exocytosis, the cell remaining intact, e.g. sweat glands.In some glands the entire cell disintegrates while discharging its secretion. These are said to be holocrine glands, e.g. sebaceous glands.Apocrine, merocrine and holocrine are the descriptions of exocrine glands i.e. the glands which pour their secretions on to an epithelial surface directly or through ducts.Endocrine glands pour their secretions into blood.